Which of these is not an opioid agonist:
1. Heroin
2. Ketamine
3. Methadone
4. Fentanyl

Correct answer: 2. Ketamine

Explanation: Ans. Ketamine